"Ottawa Charter of Health Promotion" incorporates all of the following key action areas except:-
1. Build healthy public policy
2. Strengthen community action for health
3. Build social security system
4. Reorient health services

Correct answer: 3. Build social security system

Explanation: Ottawa Charter for Health Promotion - Five key action areas: Public health policy. Strengthen community action for health. Reorientation of health services. Personal skills development. Supportive environment.